The node of Ranvier is seen in -
1. Cell body
2. Dendrites
3. Axons
4. Terminalbutons

Correct answer: 3. Axons

Explanation: Nodes of Ranvier are periodic gaps in the myelin sheath on the axon.
A neuron is a functional unit (the basic unit of nervous tissue).
It is specialized for the function of reception, integration and transmission of information in the body,
The basic structure of a neuron is best studied in a spinal motor neuron,
This cell has a ‘cell body (soma)' with 5-7 small processes called ‘dendrites'.
There is a long process called ‘axon’ that originate from “axon hillock (A thickened area of cell body from which axon originates)”.
The first portion of the axon is called “initial segment”.
In a motor neuron, the axon hillock and the initial segment of axon have the lowest threshold for excited